Toxoid is prepared from -
1. Exotoxin
2. Endotoxin
3. Both
4. None

Correct answer: 1. Exotoxin

Explanation: Ans. is 'a' i.e., Exotoxin Toxoids o Certain organisms produce exotoxins e.g., diphtheria and tetanus bacilli. o The toxin produced by these organisms are detoxicated and used in the preparation of vaccines. o The antibodies produced neutralize the toxic moiety produced during infection, rather than act upon the organisms.